Microvesicular fatty liver is caused by -
1. DM
2. Valproate
3. Starvation
4. IBD

Correct answer: 2. Valproate

Explanation: Ans. is 'b' i.e., Valproate Steatosiso Accumulation of triglyceride fat droplets within the heaptocytes is known as steatosis or fatty liver. It may be of two types -1. Microvesicular steatosis - Multiple tiny droplets accumulate that do not displace the nucleus.2. Macrovasicular steatosis - A single large droplet accumulates that displaces the nucleus.Causes of steatosisMicrovesicularMacrovesicularo Reye's syndromeo Acute fatty liver of pregnancyo Jamaican vomiting sicknesso Drugs - valproic acid, tetracycline, nucleoside analogueo Wolman's diseaseo Lysosomal acid lipase deficiencyo Congenital defects of urea cycle enzymeso Early stage of alcoholic cirrhosiso Chronic viral hepatitiso Alcoholic liver diseaseo DM - insulin resistanceo Lipodystrophyo PEM, starvationo Dysbetalipoproteinemiao TPN, Jejunoileal bypasso Inflammatory bowel diseaseo Syndrome x (obesity, DM, hypertriglyceridemia)o Drugs - CCBs, synthetic estrogens, nucleoside analogues